Which one of the following is true about osteoclastoma -
1. It most commonly arises from metaphysis
2. Most common location is subarticular
3. T/t of choice is RT
4. Sun-ray spiculation is seen on X-ray

Correct answer: 2. Most common location is subarticular